Shock lung synonym is used for
1. COPD
2. Alveolar proteinosis
3. ARDS
4. HMD

Correct answer: 3. ARDS

Explanation: Ans. C. ARDSShock Lung/ARDS is a clinical syndrome caused by diffuse alveolar capillary and epithelial damage. There is usually rapid onset of life-threatening respiratory insufficiency, cyanosis, and severe arterial hypoxemia that is refractory to oxygen therapy and that may progress to multisystem organ failure. The histologic manifestation of ARDS in the lungs is known as diffuse alveolar damage.